A 3 year old Child who has diurnal enuresis and soiling of clothes. Treatment required?
1. Urethroplasty
2. Put catheter for 7 days
3. Circumcision at 10 years
4. Behaviour modification

Correct answer: 4. Behaviour modification

Explanation: Ans. (d) Behaviour modificationRef-.Nelson 18th ed., Chapter 573* In children with overactive bladder, urge incontinence, and dysfunctional voiding, voiding at predetermined times aids in retraining the child to exercise voluntary bladder control.* Behavioral modification has remained the mainstay of treatment for daytime wetting. These measures focus on relearning and training the normal responses from the bladder and urethra.* Bladder irritants such as caffeine should be eliminated from the diet.* The child voids on waking, and subsequently at least every 2 h, during waking hours. As urgency improves, the interval between voids can be extended. In children with infrequent voiding, in whom an elevated PVR volume is encountered, double voiding will both increase functional bladder capacity and decrease the risk of infection.